A primigravida is in second stage of labour since 1 hr. On examination the leading point of fetal skull is at +2 station and rotation is 450 short. This can further be managed by
1. Applying outlet forceps
2. Applying low forceps
3. Applying mid forceps
4. Applying high forceps

Correct answer: 2. Applying low forceps

Explanation: The patient fulfills the criteria for applying low forceps The criteria for applying low forceps - (1) Leading point of fetal skull at station+ 2 cm and not on the pelvic floor, (2) Rotation is 45o or less. If the fetal head is at station below this or rotation doesn't exceed 45o, then one can apply outlet forceps. A: Unrotated head in transverse position B: 45 degree short of complete rotation C: fully rotated head (ideal for application of forceps) In modern obstetrics there is no role of midcavity or high forceps, i.e. only station +2 and below are extracted with forceps (low and outlet forceps)